Baby born prematurely at 29 wks, on examination at 42 weeks with ROP, both eyes shows stage 2 zone 1 `plus' disease, how will you manage the patient ?
1. Examine the patient after 1 week
2. Laser photocoagulation of both eyes
3. Laser photocoagulation of worse eye, follow up of other eye
4. Vitreoretinal surgery

Correct answer: 2. Laser photocoagulation of both eyes

Explanation: The hallmark of retinopathy of prematurity (ROP) is abnormal retinal vasculature. Ophthalmologists diagnose and make decisions about the initial treatment of ROP based on the appearance of the retinal blood vessels. Dilatation and tortuosity of the retinal vessels at the posterior pole is termed plus' disease. It is a sign of rapidly progressive ROP and is an indication for early laser ablation of the peripheral avascular retina.